Which of the following dimensions is not included in the WHO definition of health
1. Physical well being
2. Occupational well being
3. Mental well being
4. Social well being

Correct answer: 2. Occupational well being

Explanation: Health is a state of complete physical, mental and social well-being and not merely absence of disease or infirmity Ref : Park's Textbook of Preventive and Social Medicine; 23rd edition - Pgno. 14